All are characteristics of a breast papilloma except
1. Myoepithelial cells present
2. Apocrine metaplasia is seen
3. Hyperplasia of adjacent ducts
4. Regular polarized gland pattern

Correct answer: 4. Regular polarized gland pattern